Cervical cone biopsy in a case of carcinoma cervix causes all, except:
1. Bleeding
2. Cervical stenosis
3. Infection
4. Spread of malignancy

Correct answer: 4. Spread of malignancy

Explanation: Ans. is d, i.e. Spread of malignancyRef: Shaw 15th/ed, p406; Jeffcoate 7th/ed, p421; Williams Gynae 1st/ed, p635Complications of Cone biopsy are:* HemorrhageQ* Sepsis (infection)Q* Cervical stenosisQ* Pregnancy complications which include:- Mid trimester abortionsQ- Preterm laborQ- Cervical dystociaQAlso Know* Cone biopsy should be done under general anesthesia.* The cone should include the entire outer margin and the endocervical lining but internal OS is spared.* A small cone is preferred in younger women to avoid pregnancy complications.